Which of the following are NOT features of Corticospinal tract lesion? 1. Spasticity 2. Resting tremor 3. Exaggerated tendon reflexes 4. Extensor plantar response 5. Cogwheel rigidity
1. 1,2 & 3
2. 2 & 5
3. 4 & 5
4. None

Correct answer: 2. 2 & 5

Explanation: "Resting tremors are present in parkinsons disease and in extrapyramidal disorder, not in corticospinal tract disorder". "Rigidity is increased tone that is present throughout the range of motion (a "lead pipe"or "plastic" stiffness) and affects flexors and extensors equally; it sometime has a cogwheel quality that is enhanced by voluntary movement of the contralateral limbs(reinforcement). Rigidity occurs with certain extrapyramidal disorders such as parkinson's disease ". Corticospinal tract lesions: Axons of the pyramidal or corticospinal system descends through the brainstem in the cerebral peduncle of the midbrain, the basis points, and the medullary pyramids. At the cervicomedullary junction, most pyramidal axons decussate into the contralateral corticospinal tract of the lateral spinal cord, but 10-30% remain ipsilateral in the anterior spinal cord. Muscle stretch (tendon) reflexes are usually increased with upper motor neuron lesions, although they may be decreased or absent for a variable period immediately after onset of an acute lesion. This is usually -but not invariably -accompanied by abnormalities of cutaneous reflexes (such as superficial abdominals) and in particular, by an extensor plantar (Babinski) response. Ref: Harrison 17/e, page 147 ; Ganong 23/e, page 253